Incipient caries consists of opaque, chalky white areas that appear when the tooth surface is dried, this is referred as
1. white spot
2. hot spot
3. translucent zone
4. body of lesion

Correct answer: 1. white spot